Micro Munro abscess is seen in
1. Dermal tissue
2. Stratum corneum
3. Stratum basale
4. Stratum malphigi

Correct answer: 2. Stratum corneum

Explanation: Munro micro abscesses are seen in psoriasis it is the collection of neutrophils in stratum corneum. IADVLtextbook of dermatology page 1041